Initial investigation of choice in obstructive jaundice is
1. USG
2. ERCP
3. CT scan
4. PTC

Correct answer: 1. USG

Explanation: Transabdominal ultrasound scan is universally established as the most useful first line imaging study in the jaundiced adult.It provides an excellent evaluation of liver parenchyma & assessment of the presence/absence of bile duct dilatation. Reference:SRB's manual of surgery,5th edition,page no:656.